A child is spinned around by holding his hand by his father. While doing this the child started crying and does not allow his father to touch his elbow. The diagnosis is
1. Pulled elbow
2. Radial head dislocation
3. Annular ligament tear
4. Fracture olecranon process

Correct answer: 1. Pulled elbow

Explanation: Pulled elbow: Occurs in children between 2-5 years of age. The head of radius is pulled partly out of annular ligament when a child is lifted by the wrist. The child starts crying and is unable to move the affected limb. The forearm lies in the attitude of pronation. There may be mild swelling at the elbow. It is not possible to see the subluxated head on an x-ray because it is still cartilaginous. Treatment: the head is reduced by fully supinating the forearm and applying direct pressure overhead of radius. A sudden click is heard or felt as the head goes back to place. Ref: Essential Orthopaedics, Maheswari & Mhaskar, Edition 9, Page no: 105